A double aortic arch is due to persistent ?
1. Right 4th arch
2. Right 6th arch
3. Left 4th arch
4. Left 6th arch

Correct answer: 1. Right 4th arch

Explanation: Double aortic arch is most common vascular ring, caused by abnormal persistence of the distal segment of the RIGHT of 4th aortic arch. On lateral, arches are posterior to esophagus and anterior to trachea. Symptoms (of tracheal compression or difficulty swallowing) may begin at birth. Aortic arches: Aortic arches are short vessels connecting ventral and dorsal aortae on each side they run within branchial (pharyngeal) arches are based gradually the 4th and 5th week, in 6 pairs in total the first, second and fifth pairs are developmental in perspective and they soon disappear.1. 1st aortic arch: disappears, a small portion persists and forms a piece of the maxillary artery.2. 2nd aortic arch: disappears, small portions of this arch contributes to the hyoid and stapedial arteries. 3. 3rd aortic arch: common carotid and initial segments of internal carotid artery.4. 4th aortic arch: has ultimate fate different on the right and left side on the left.RIGHT, the proximal segment of the right dorsal aorta persists and is incorporated into the R subclavian artery whereas the distal segment regresses.LEFT, both the proximal and distal segments are retained and incorporated into the descending arch of the aorta.5. 5th aortic arch - is transient and soon obliterates.6. 6th aortic arch - pulmonary arch - RIGHT arch: the proximal segment is incorporated into the R pulmonary artery; the distal segment regresses. LEFT arch: the proximal segment is incorporated into the L pulmonary artery; the distal segment persists as the ductus arteriosus.Ref: Embryology for Medical Students, By Sudhir Sant, 2nd Edition, Page 133